Which of the following in the natural course of disease has no reversal of the shunt
1. ASD
2. VSD
3. TOF
4. PDA

Correct answer: 3. TOF

Explanation: Ans. c. TOF Infants with acyanotic gradually become cyanotic as a result of worsening condition of the infundinular stenosis a.nd polycythemia Polycythemia develop secondary to cyanosis Hypoxic spells may develop in infants Growth retardation may be present if cyanosis is severe Brain abscess and cerebrovascular accidents rarely occur SABE is occasionally a complication Some patients, particularly those with severe TOF develop AR Coagulopathy is a late complication of longstanding cyanosis Eisenmenger syndrome Eisenmenger syndrome was so named by Dr. Paul Wood after Dr. Victor Eisenmenger, who first described the condition in 1897. Congenital heart defects causing Eisenmenger syndrome Atrial septal defects Ventricular septal defects Patent ductus arteriosus More complex types of acyanotic heart disease